Antenatal double bubble appearance on ultrasound is due to -
1. Diaphragmatic hernia
2. Duodenal atresia
3. Gastric volvulus
4. Intussusception

Correct answer: 2. Duodenal atresia